In pneumothorax due to blunt injury, treatment of choice is -
1. Observation
2. Pneumonectomy
3. Thoracotomy
4. Intercostal drainage

Correct answer: 4. Intercostal drainage